All of the following are true regarding Screening of disease except
1. Done on apparently healthy people
2. Time consuming
3. Generally never a basis to start treatment
4. Arbitrary and final

Correct answer: 2. Time consuming

Explanation: Screening test Diagnostic test Done on apparently healthy Done on those with indications or sick Applied to groups Applied to single patients, all diseases are considered Test results are arbitrary and final Diagnosis is not final but modified in light of new evidence, diagnosis is the sum of all evidence Based on one criterion or cut-off point Based on evaluation of a number of symptoms, signs (e.g. diabetes) and laboratory findings. Less accurate More accurate Less expensive More expensive Not a basis for treatment Used as a basis for treatment The initiative comes from the investigator or agency providing care. The initiative comes from a patient with a complaint